Femoral neck fracture of 4-week-old in an young adult should be best by treated one of the following:
1. Total hip replacement
2. Reduction of fracture and femoral osteotomy with fixation
3. Prosthetic replacement of femoral head
4. Reduction of fracture and multiple screw fixation

Correct answer: 2. Reduction of fracture and femoral osteotomy with fixation

Explanation: (b) Reduction of fracture and femoral osteotomy with fixation- >3 weeks fracture in <65 years age group-reduction and fixation along with Osteotomy/Bone grafting.